Drugs that act on microtubules are all except
1. Colchicine
2. Vinblastine
3. Paclitaxel
4. Fluconazole

Correct answer: 4. Fluconazole

Explanation: Certain drugs bind to microtubules and thus interfere with their assembly or disassembly. These include colchicine, vinblastine, paclitaxel, and griseofulvin.Fluconazole inhibits the fungal cytochrome P450 enzyme 14a-demethylase.